What is the respiratory quotient for a carbohydrate meal
1. 0.7
2. 0.8
3. 0.6
4. 1

Correct answer: 4. 1

Explanation: Carbohydrate RQ = 1
Fat RQ = 0.7
Protein RQ = 0.8